Incubation period knowledge helps in all of the following except:
1. Isolation
2. Quarantine
3. Detecting source of infection
4. Vaccination

Correct answer: 1. Isolation

Explanation: Ans. A: Isolation Quarantine applies to those who have been exposed to a contagious disease but who may or may not become ill. Isolation applies to persons who are known to be ill with a contagious disease. Epidemiological importance of knowledge of incubation period: Tracing the source of infection and contacts Period of surveillance/quarantine Immunization Identification of point source or propagated epidemics Prognosis